Which of the following is a recommended step in management of salicylate poisoning?
1. Chelating agents
2. Atropine
3. Alkaline diuresis
4. Observation

Correct answer: 3. Alkaline diuresis

Explanation: In acidic drug poisoning (salicylate, barbiturates, chlorpropamide, methotrexate etc.) urine should be alkalinized with sodium bicarbonate because weak acids are in ionized form in alkaline urine and thus are easily excreted. Chelating agents are used for heavy metal poisoning. Atropine is drug of choice for organophosphate poisoning